Thurston Holland sign is seen in:
1. Type I
2. Type II
3. Types III
4. Type IV

Correct answer: 2. Type II

Explanation: Thurstan Holland fragment (or Thurstan Holland sign)- radiological sign depicting a triangular portion of the metaphysis remaining with the epiphysis in a physeal fracture. This fragment indicates a Salter Harris type 2 fracture